True about chlamydia are all except:
1. Obligate intracellular organism
2. Gram positive
3. Reticulate body is metabolically active
4. Replicate by binary fission

Correct answer: 2. Gram positive

Explanation: Ans. is. 'b' i. e., Gram positive